Oral evidence is more important than written testimony as:
1. Oral evidence cannot be cross-examined
2. Oral evidence can be cross-examined
3. Documentary evidence requires no proof
4. None

Correct answer: 2. Oral evidence can be cross-examined

Explanation: Ans. Oral evidence can be cross-examined